All of the following structures are passing through the parotid gland except:
1. External carotid artery.
2. Retromandibular vein.
3. Facial nerve.
4. Internal carotid artery.

Correct answer: 4. Internal carotid artery.